Urgent treatment of procainamide toxicity is:
1. Calcium chelation
2. KCI
3. Nitroprusside
4. Sodium lactate

Correct answer: 4. Sodium lactate

Explanation: (Ref: CMDT-2010/1445) Pressor agents (to reverse hypotension) and sodium lactate (to reverse arrhythmias) are indicated for the treatment of procainamide toxicity.